Which of the following statements regarding disinfectant is not true?
1. Hypochlorites are bactericidal and inactivated by organic matter
2. Glutaraldehyde is sporicidal and not inactivated by organic matter
3. Formaldehyde is bactericidal, sporicidal and virucidal
4. Phenol is bactericidal and readily inactivated by organic matter

Correct answer: 4. Phenol is bactericidal and readily inactivated by organic matter

Explanation: Ans. is 'd' i.e., Phenol is bactericidal and readily inactivated by organic matterPhenolic act by denaturing proteins and disrupting cell membranes and effective in the presence of organic materials.